Group B nerve fibres are situated in
1. Muscle spindles
2. Fibres carrying pain sensation
3. Preganglionic autonomic fibres
4. Post ganglionic autonomic fibres

Correct answer: 3. Preganglionic autonomic fibres

Explanation: Types of nerve fibers
fibers are fast fibers.
-        Aα- Somatic motor to extrafusal fibers of muscle spindle, proprioception
-        Aβ- Kinesthetic, pressure and touch
-        Aγ- Motor to intrafusal fibers of muscle spindle
-        Aδ-  Pain, temperature, touch and pressure
-        B fibers- Autonomic preganglionic (Myelinated)
-        C fibers- Pain, temperature, autonomic postganglionic (mainly sympathetic)